Malignant hydatid cyst is caused by:
1. Echinococcus granulosus
2. E. multilocularis
3. E. vogeli
4. E. oligarthus

Correct answer: 2. E. multilocularis

Explanation: Ans. b. E. multilocularis